True about serratus anterior is/are:
1. Laterally rotates the scapula
2. It is attached to the medial side of scapula
3. protects scapula
4. All

Correct answer: 4. All

Explanation: A i.e. Laterally rotates the scapula B i.e. It is attached to the medial side of scapula C i.e. protects scapula